For assessment cardiovascular dfs MONICA project is used What is it associated with
1. Risk factor intervention trials for CVD
2. Oslow diet smoking intervention study
3. Monitoring of trends & determinants in cardiovascular disease
4. Lipid research clinics study

Correct answer: 3. Monitoring of trends & determinants in cardiovascular disease

Explanation: ref : harrisons 21st ed